Drug of choice for pneumocystis carinii is
1. Doxycycline
2. Cotrimoxazole
3. Tetracycline
4. Dapsone

Correct answer: 2. Cotrimoxazole

Explanation: The treatment of choice for PCP is trimethoprim-sulfamethoxazole (TMP-SMX), given either IV or PO for 14-21 days .TMP-SMX, which interferes with the organism's folate metabolism, is at least as effective as alternative agents and is better tolerated. Ref Harrison 19th edition pg 1019 Davidson edition23rd pg 587